Which of the following stage of life cycle of Plasmodium is seen in humans?
1. Sexual cycle
2. Sporogony
3. Oocyst
4. Schizogony

Correct answer: 4. Schizogony

Explanation: Schizogony : Asexual cycle, endogenous phase, seen in Human. Human cycle of Plasmodium Hepatic phase Erythrocytic schizogony Gametogony Sporogony : Sexual cycle , exogenous phase, seen in mosquito.